A patient presented with acute abdominal pain . Onclinical suspicion patient underwent cholecystectomy. On histopathological examination the finding is normal. The gall bladder epithelium will be?
1. Squamous
2. Simple columnar
3. Simple columnar with brush border
4. Cuboidal with Stereocilia

Correct answer: 3. Simple columnar with brush border

Explanation: C i.e., Simple columnar with brush border